Diameter of head mirror in ENT is
1. 20 cm
2. 22 cm
3. 10 cm
4. 26 cm

Correct answer: 3. 10 cm

Explanation: Head mirror: It is a concave mirror used to reflect light from the Bull's eye lamp onto the part being examined. It has a focal length of approximately 25 cm. The examiner sees through the hole in the centre of the mirror. Diameter of the mirror is 89 mm (3 1/2 ") and that of the central hole is 19 mm (3/4") Ref: Dhingra 7e pg 427.